Stoke Adam's associated with
1. Sinoatrial arrest
2. Tachyrhythmias
3. High degree AV Block
4. Polymorphic ventricular tachycardia

Correct answer: 3. High degree AV Block

Explanation: (C) High degree AV Block # Those with syncope due to high degree AV block (Stokes-Adams-Morgagni syndrome) may have evidence of conduction system disease (e.g., prolonged PR interval, bundle branch block).> Bradyarrhythmias may occur as a result of an abnormality of impulse generation (e.g., sinoatrial arrest) or impulse conduction (e.g., AV block).> Syncope due to a tachyarrhythmia is usually preceded by palpitation or light-headedness but may occur abruptly with no warning symptoms.> Patients with aortic valvular stenosis and hypertrophic obstructive cardiomyopathy are also at risk for ventricular tachycardia. Individuals with abnormalities of ventricular repolarization (prolongation of the QT interval) are at risk to develop polymorphic ventricular tachycardia (torsades de pointes).